Tecovirimat was approved by FDA recently for
1. Prostate cancer
2. Breast cancer
3. Small pox
4. Chicken pox

Correct answer: 3. Small pox

Explanation: it i s an antiviral drug aganist small pox.It inhibits the production of extracellular viral forms which help in systemic spread. Ref: www.fda.gov/downloads/ticovirament